A 6 year old boy has been complaining of a headache, ignoring to see the objects on the sides for four months. On examination he is not mentally retarded, his grades at school are good, and visual acuity is diminished in both the eyes. Visual charting showed significant field defect. CT scan of the head showed suprasellar mass with calcification. Which of the following is the most probable diagnosis?
1. Astrocytoma
2. Craniopharyngioma
3. Pituitary adenoma
4. Meningioma

Correct answer: 2. Craniopharyngioma

Explanation: Suprasellar calcification along with the presence of visual field defects and headache suggests the diagnosis of craniopharyngioma.